All of the following are considered to be negative symptoms of Schizophrenia EXCEPT
1. Apathy
2. Avolition
3. Auditory hallucinations
4. Affective flattening

Correct answer: 3. Auditory hallucinations

Explanation: Positive symptoms:- These includes hallucinations, delusions, and bizarre motor acts. Positive symptoms respond very well to antipsychotics, therefore hallucinations and delusions respond earliest to treatment.
Negative symptoms:- Flattening or blunting of affect, anhedonia, ambivalence, asociality (social withdrawal), alogia, apathy, the paucity of thoughts, poverty of speech, lack of interest.